Blood culture is indicated in all, Except:
1. Enteric fever
2. Sub acute bacterial endocarditis
3. Septicemia
4. Malaria

Correct answer: 4. Malaria

Explanation: Ans. is 'd' Malaria (Ref : Harrison, 17/e p 1286-87 & 16/e, p 1225, 1226 (15/e, p 1207)).Blood culture has no role in the diagnosis of malaria. The diagnosis of malaria depends upon the demonstration of parasite in the peripheral blood smears.In all other diseases given in the question, blood culture is most diagnostic.